A-7 year child presenting with acute otitis media, does not respond to ampicillin. Examination reveals full and bulging tympanic membrane, the treatment of choice is:
1. Sytemic steroid
2. Ciprofloxacin
3. Myringotomy
4. Cortical mastoidectomy

Correct answer: 3. Myringotomy

Explanation: Indications of myringotomy in acute otitis media:Drum is bulging + acute pain.Incomplete resolution despite antibiotics when drum remains full with persistent conductive deafness.Persistent effusion beyond 12 weeks.